Anesthesia of choice in pediatric patients:
1. Ketamine
2. Desflurane
3. Sevoflurane
4. Propofol

Correct answer: 3. Sevoflurane

Explanation: Ans: (c) SevofluraneRef: KDT 6th ed./373-374SEVOFLURANE* Sevoflurane is one of the inhalation (volatile liquid) anesthetic agents.* Induction and emergence of anesthesia is rapid with sevoflurane.* Absence of pungent smell makes it pleasant and administrate through face mask and is considered as anesthesia of choice in pediatric patient.* Side effect: respiratory depression and arrhythmia.PESFLURANE* Desflurane is one of the inhalation (volatile liquid) anesthetic agents.* It is fastest acting but less soluble than isoflurane.* It has the most pungent odor, which make it unsuitable for induction.* It irritates air passage, which may induce coughing, laryngeal spasm.PROPOFOL* Anesthesia of choice for day care surgery.* Short acting, action diminishes the same day.* Advantage: has anti emetic property. It is safe in porphyria.* Disadv: Causes myocardial depression and hypotension, KETAMINE* Has maximum analgesic property.* Produces dissociative anesthesia.* Induction agent of choice in asthma patient.